Which of the following drugs used in MDR TB may lead to suicidal tendencies:
1. PAS
2. Pyrazinamide
3. Cycloserine
4. None of the above

Correct answer: 3. Cycloserine

Explanation: Psychiatric disturbances : The common offending drugs are cycloserine, quinolones and/or ethionamide. In cases of suicidal tendencies and other psychiatric disturbances, the first offending drug is cycloserine, followed by ethionamide and quinolones. These drugs will be withheld and further management of the patient will be done in consultation with the psychiatrist. Ref: